A patient with a sore throat has a positive Paul Bunnell test. The causative organism is:
1. EBV
2. Herpes virus
3. Adenovirus
4. Cytomegalovirus

Correct answer: 1. EBV

Explanation: Paul Bunnell test is the standard diagnostic procedure for infectious mononucleosis, which is caused by EBV.
Paul Bunnell test detects heterophile antibody.